Not a dimorphic fungi?
1. Histpolasma
2. P. jiroveci
3. Sporothrix
4. Blastomycosis

Correct answer: 2. P. jiroveci

Explanation: ANS. BDimorphic fungi are fungi which can exist as mold/hyphal/ filamentous form or as yeast.Examples of dimorphic fungi (HSBC) + P1. Histoplasma2. Sporothrix3. Blastomycosis4. Coccidiomycosis5. Penicillium